The highest frequency of palpable metastasis in neck on presentation is -
1. Carcinoma tongue
2. Buccal mucosa
3. Alveolus
4. Lip

Correct answer: 1. Carcinoma tongue

Explanation: "Among oral cavity cancers, cancers of the mobile tongue have a high incidence of occult and clinical cervical lymph node metastasis".
─ Head & Neck surgery : otolaryngology